Which of the following statistics should be adjusted for age to allow comparisons-
1. Age specific fertility rate
2. Crude mortality rate
3. Perinatal mortality rate
4. Infant mortality rate

Correct answer: 2. Crude mortality rate

Explanation: Crude death rate is adjusted on the basis of age to obtain "Age adjusted or standardised death rates". Advantage of age adjusted standardised death rates is that, it removes all the confounding effects of different age structures and yields a single standardised adjusted rate, by which the mortality experience can be direclty compared. ref: Park's 23rd edition pg 58